Ceruminous glands present in the ear are -
1. Modified eccrine glands
2. Modified apocrine glands
3. Mucous gland
4. Modified holocrine glands

Correct answer: 2. Modified apocrine glands

Explanation: Sweat glands are of 2 types: